Ramu aged 45 years, a chronic alcoholic presents with complaints of confusion, ataxia, ophthalmoplegia and peripheral neuropathy -
1. Korsakoff's psychosis
2. Delirium tremens
3. Alcoholic hallucination
4. Wernicke's encephalopathy

Correct answer: 4. Wernicke's encephalopathy

Explanation: Wernicke's encephalopathy is characterized by classical triad of global confusion, ophthalmoplegia and ataxia.